Ethambutol should be used very cautiously in childhood tuberculosis due to which of its side effect?
1. Ocular toxicity
2. Renal damage
3. Hepatotoxicity
4. Clofazamine

Correct answer: 1. Ocular toxicity

Explanation: Ans. a (Ocular toxicitv). (Ref. KD Trioathi, 5th ed., 704 & Harrison, Medicine 14th ed.. 428)DRUGS CAUSING OCULAR TOXICITY, MAINLY COLOR VISION ALTERATION# Barbiturates# Ethambutol (-red-green blindness)# Thiazides# Digoxin (yellow vision)# Sildenafil (Blue - green blindness)# Sulfonamides